ROME scheme recommended by
1. Srivastava committee
2. Bhore committee
3. Bajaj committee
4. Krishnan committee

Correct answer: 1. Srivastava committee